A 8 year old child after tonsillectomy sees a bear in her room. She screams in fright. A nurse who rushes in switches on the light, finds a rug wrapped on a armchair. She pacifies the child what the child experienced was a :
1. Delusion
2. Illusion
3. Hallucination
4. None of the above

Correct answer: 2. Illusion

Explanation: A real object, i.e. rug wrapped on a armchair is misinterpreted as bear.